Reference protein is -
1. Egg
2. Fish
3. Milk
4. Meat

Correct answer: 1. Egg

Explanation: Egg contains all nutrients except vitamin C.it has all the nine essential amino acids needed by the body in right proportion and net protein utilisation is 100.REF.PARK'S TEXTBOOK OF PREVENTIVE AND SOCIAL MEDICINE.Editon-21.Page no.-582